Defect in which of the following protein leads to Rett syndrome?
1. Histone acetyl transferase
2. Methyl cytosine binding protein
3. Ten eleven translocase
4. DNA methylase

Correct answer: 2. Methyl cytosine binding protein

Explanation: Rett syndrome : a.k.a. , Cerebro-atrophic hyperammonemias X-linked dominant disorder. Defective protein - methyl CpG binding protein . Methyl cytosine binding proteins are epigenetic code reader.